Three month's amenorrhoea in a female may indicate following EXCEPT :
1. Pregnancy
2. Tuberculosis of genital tract
3. Endometriosis
4. Sheehan's syndrome

Correct answer: 3. Endometriosis

Explanation: Endometriosis